Defloration means:
1. Loss of virginity
2. Infertility
3. Rape
4. Virginity

Correct answer: 1. Loss of virginity

Explanation: Loss of virginity